The following are function of restriction endonuclease, EXCEPT:
1. Cut both the strands of double stranded DNA
2. The cut ends produced by restriction endonuclease are sticky
3. The cut ends produced by restriction endonuclease are blunt
4. It is non specific to base pairs

Correct answer: 4. It is non specific to base pairs

Explanation: Restriction endonuclease are the enzymes that cut the double stranded DNA. It is highly specific, recognises 4 to 7 base pairs. Sticky ends used in chimeric and hybrid molecule preparation. Ref: Harper, 27th Edition, Page 403; Textbook of Biochemistry By DM Vasudevan, 4th Edition, Page 430.